Cardinal signs of Inflammation are all except?
1. Rubor
2. Tumor
3. Color
4. Cyanosis

Correct answer: 4. Cyanosis

Explanation: Ans. is 'd' i.e., Cyanosis o Cardinal signs of acute inflammation (celsus' signs): Rubor (redness), tumor (swelling), color (warmth), Dolor (pain).